Hemorrhage occurring 6 hours after tonsillectomy is called as -
1. Primary hemorrhage
2. Secondary hemorrhage
3. Reactionary hemorrhage
4. None of the above

Correct answer: 3. Reactionary hemorrhage

Explanation: Complications of tonsillectomy

Complications of tonsillectomy may be:-


Immediate
Delayed

Immediate complications

Primary hemorrhage : Occurs at the time of operation. It can be controlled by pressure, ligation or electrocoagulation of the bleeding vessels.
Reactionary hemorrhage : Occurs within a period of 24 hours.
Injury to tonsillar pillars, uvula, soft palate, tongue or superior constrictor muscle due to bad surgical technique.
Injury to teeth.
Aspiration of blood.
Facial oedema : Some patients get oedema of the face particularly of the eyelids.
Surgical emphysema